Sirolimus is more likely than cyclosporine to cause:
1. Hypertension
2. Osteoporosis
3. Renal insufficiency
4. Thrombocytopenia

Correct answer: 4. Thrombocytopenia

Explanation: (Ref: KDT 6/e p840) Cyclosporine and tacrolimus cause nephrotoxicity as an adverse effect. Sirolimus (rapamycin) results in bone marrow suppression and thus may cause anemia, thrombocytopenia and leukopenia.